Investigation of choice for colon cancer is
1. CECT
2. Barium enema
3. Barium swallow
4. Colonoscopy

Correct answer: 4. Colonoscopy

Explanation: Colonoscopy is for Ca. Colon.